Parietal cells secrets:
1. Pepsinogen
2. HCI
3. Mucous
4. Pepsin

Correct answer: 2. HCI

Explanation: HCI